Gluten sensitive enteropathy is most strongly associated with;
1. HLA-DQ2
2. HLA-DR4
3. HLA-DQ3
4. None

Correct answer: 1. HLA-DQ2

Explanation: Answer is A (HLA-DQ2): "About 95% of patients with coeliac sprite express HLA-DQ2 allele" - Harrisons Gluten sensitive Enteropathv (coeliac disease) HLA-DQ genes are the primary bases for disease association HLA - DQ gene present on both DR3Q & DR7 haplotypes appear to account for HLA genetic contribution to disease susceptibility